True about osteoclastoma
1. Mononuclear cells are malignant component
2. Common in elderly
3. Radiotherapy is the main modality of treatment
4. Diaphyseal lesion

Correct answer: 1. Mononuclear cells are malignant component